The ultimate in finish Lines that permit an acute margin of metal is
1. Shoulder
2. Chamfer
3. Knife edge
4. Shoulder with bevel

Correct answer: 3. Knife edge